Investigation of choice in cervical carcinoma is?
1. CECT pelvis
2. MRI
3. TVS
4. TAS

Correct answer: 2. MRI

Explanation: Ans BMRI because of its superior soft tissue resolution is used for local staging of carcinoma. Vaginal and parametrial involvement is better assessed